Prominent corneal nerves are seen in all except –
1. Ectodermal dysplasia
2. Ichythyosis
3. Refsum's syndrome
4. Macular dystrophy

Correct answer: 4. Macular dystrophy